Diastatic fracture is
1. Seperation of the cranial sutures
2. Also known case "Fracture a-la-signature"
3. There are two or more intersecting lines of fracture
4. A linear fracture involving the whole thickness of the bone

Correct answer: 1. Seperation of the cranial sutures

Explanation: (Seperation of the cranial sutures) (222-Reddy's 29th)DIASTAT1C OR SUTURAL FRACTURES - separation of the sutures occurs only in young persons due to a blow on head with blunt weapon* It may occur alone but often is associated with fracture* It is usually seen in saggital sutures* These are particularly common in traffic accidents* Most successful estimate to union of skull is done from sagittal sutures, next lambdoid and then coronal (72- Reddy 29th)* Fissured fracture - These are linear fractures involving the whole thickness of the bone or inner or outer table only about 70% skull fractures are linear* Comminuted fracture - There are two or more intersecting lines of fracture which divide the bone into three or more fragments, and blows from weapon with a large striking surface eg heavy iron bar* Depressed fracture - "fractures a la signature" (signature fracture) as their pattern often resembles the weapon or agent which caused itLocalized depressed fractures are caused by blows from heavy weapon with a small striking surface** stone, stick, axe, chapper, hammer etc.Gutter fractures - They are formed when part of the thickness of the bone is removed so as to form a gutter eg oblique bullet wounds. They are usually accompanied by irregular, depressedfracture of the inner table of the skull* Hinge fracture of base of skull is also termed as a 'Motor cycylist's fracture' *** (247-Reddy 28th)Crescent fracture is - fracture of the iliac bone with sacroiliac joint disruption**Jefferson is - is a burst fracture where both the anterior and posterior arches of atlas (C1) are fractured by a vertical force acting through the skullClay shroveller's fracture - fracture of spinous process of T1 vertebra caused by violent muscular actionHangman fracture - fracture of C2 vertebra seen injudicial hanging due to extensionBox or Bursting fracture - is an extensive fracture running parallel to the two points of contect separating the two hemisphere. It is frequently caused by being run over by heavy vehicleRing fracture - any fracture round the foramen magnum it result fromI. fall from a height on feet or buttockII. sudden violent turn of the head on the spineIII. severe blow on vertex which drives the skull down wards on the vertebral columnIV. heavy blow directed underneath the occiput or chin